IUCD most commonly associated with expulsion
1. Lippes loop
2. Cu T - 200
3. Cu T - 380 A
4. LNG - IUCD

Correct answer: 1. Lippes loop

Explanation: The expulsion rate among IUCDs is high for lippes loop (12-20% ) Expulsion can be partial or complete Expulsion usually occurs during the first few weeks following insertion or during menstruation Reference: Park's textbook of preventive and social medicine, 23rd edition, Page no: 497, 499